Primary antibody deficiencies are characterized by
1. Recurrent allergic reactions
2. Recurrent bacterial infections
3. Implicit allergic reactions
4. Implicit bacterial infections

Correct answer: 2. Recurrent bacterial infections